All are true about Raynaud’s phenomena except:
1. Exposure to cold aggravates
2. Spasm of vessels
3. More common in females
4. Atherosclerosis of vessels

Correct answer: 4. Atherosclerosis of vessels

Explanation: RAYNAUD’S PHENOMENON

Raynaud’s phenomenon is characterized by episodic digital ischemia on exposure to cold or emotional stress.
Manifested by the sequential development of digital blanching, cyanosis and rubor (redness) of fingers or toes.
BCR: Blanching, Cyanosis and Rubor (redness)